Which of the following is the most common origin of cerebral metastasis?
1. Lung cancer
2. Breast cancer
3. Melanoma
4. Colon cancer

Correct answer: 1. Lung cancer

Explanation: Lung: 40%
Breast : 10 - 30%
Melanoma : 5 - 15%
Unknown : 15%